Decreased plasma renin activity is seen in:
1. Primary hyperaldosteronism
2. Barter syndrome
3. Pregnancy induced Hypertension
4. Secondary aldosteronism

Correct answer: 1. Primary hyperaldosteronism

Explanation: Primary hyperaldosteronism is due to bilateral adrenal hyperplasia or due to adrenal adenoma. Both these conditions are autonomous and lead to aldosterone production in excess. The R.A.A.S system negative feedback will result in decrease in renin production. Low renin Hypertension is a feature of primary hyperaldosteronism. Causes of low renin hypertension Liddle syndrome Conn's syndrome Mineralocorticoid receptor mutation Apparent mineralocorticoid excess (AME) Glucocorticoid resistance Gordon syndrome Congenital adrenal hyperplasia (CAH)